Mechanism of action of d-tubocurarine is:-
1. Competitive, nondepolarizing block at the Nm cholinergic receptor
2. Non-competitive, nondepolarizing block at the Nm cholinergic receptor
3. Competitive, depolarizing block at the Nm cholinergic receptor
4. Noncompetitive, depolarizing block at the Nm cholinergic receptor

Correct answer: 1. Competitive, nondepolarizing block at the Nm cholinergic receptor

Explanation: Neuro Muscular blockers Depolarising or Non-competitive Non-depolarising or competitive Succinylcholine Dexamethonium Curium Curonium Atracurium Cisatracurium Mivacurium Pancuronium Pipecuronium Vecuronium Rocuronium Rapacuronium